A 21 year old girl is disturbed that her nose is too big. She is convinced that it is disfiguring though no one else can see that way. What is the likely diagnosis:
1. Delusional disorder
2. Obsessive compulsive disorder
3. Body dysmorphic disorder
4. Specific phobia

Correct answer: 3. Body dysmorphic disorder

Explanation: Ans. (c) Body dysmorphic disorder* Body dysmorphic disorder is a somatoform disorder, wherein the affected person is concerned with body image* It manifests as excessive concern about and preoccupation with a perceived defect of their physical features.* The person is under an impression that they have a defect in either one feature or several features of their body, which causes psychological distress that causes clinically significant distress or impairs occupational or social functioning.* This condition co-exists with emotional depression and anxiety, social withdrawal or social isolation.